Aedes aegypti transmits following diseases -
1. Yellow fever
2. Malaria
3. Japanese encephalitis
4. Filariasis

Correct answer: 1. Yellow fever

Explanation: Vector Diseases transmitted Culex Bancroftian filariasis JE West Nile Fever Anopheles Malaria Filaria (outside India) Aedes Yellow fever Dengue Chikungunya Rift Valley Fever Filaria (outside India) Mansonia Brugian filariasis and Chikungunya REF: PARK'S TEXTBOOK OF PREVENTIVE AND SOCIAL MEDICINE, 25TH EDITION, PG NO. 832